Efficacy of the drug refers to
1. Affinity of the drug to bind to the receptor
2. Affinity of the drug that binds to the receptor and activates it
3. Dose that required to to produce response
4. Maximum response a drug can produce

Correct answer: 4. Maximum response a drug can produce

Explanation: Efficacy means effectiveness, i.e. the ability of something, e.g. a medicine, to produce the results you want Ref-KDT 7/e p54